Resistant hypertension is defined as?
1. Resistance to 3 or more anti hypertension drugs
2. Resistance to 3 or more anti-hypertensive drugs including thiazides
3. Resistance to aldosterone
4. Resistance of Angiotension II receptors

Correct answer: 2. Resistance to 3 or more anti-hypertensive drugs including thiazides

Explanation: Ans. (b) Resistance to 3 or more anti-hypertensive drugs including thiazidesRef: Harrison 18th edition, chapter 247* Resistant hypertension refers to patients with blood pressures persistently >140/90 mmHg despite taking three or more antihypertensive agents, including a diuretic, in a reasonable combination and at full doses.* Resistant or difficult-to-control hypertension is more common in patients >60 years than in younger patients.* Resistant hypertension may be related to:# "Pseudoresistance" (high office blood pressures and lower home blood pressures), nonadherence to therapy# Identifiable causes of hypertension (including obesity and excessive alcohol intake# Use of any of a number of nonprescription and prescription drugs